Rhinolalia clausa is associated with all of the following except:
1. Allergic rhinitis
2. Palatal paralysis
3. Adenoids
4. Nasal polyps

Correct answer: 2. Palatal paralysis

Explanation: Rhinolalia clausa is a speech when nose or nasopharynx is closed blocked. It lacks nasal resonance and occurs in allergic rhinitis, nasal polyps, adenoids, nasal or nasopharyngeal growths.Palatal paralysis on the contrary causes excessive nasal resonance and speech has a nasal character added to words which normally have no nasal resonance. The condition is also called rhinolalia aperta or hypernasal speech. Other conditions which can cause this type of speech are:(i). Congenitally short soft palate(ii). Submucous palate(iii). Cleft palate(iv). Oronasal fistula(v) . Familial or habitual pattern